Roth's spot are seen in:
1. SABE
2. Trauma
3. Hypertension
4. Trachoma

Correct answer: 1. SABE

Explanation: Ans. A: SABE "Roth's spots" are retinal hemorrhages with white or pale centers composed of coagulated fibrin and are typically observed fundoscopy, using an ophthalmoscope. They are usually caused by immune complex mediated vasculitis often resulting from bacterial endocarditis. Roth's spots may be observed in leukemia, diabetes, subacute bacterial endocarditis, pernicious anaemia, ischemic events associated with elevated venous pressure and systemic vascular conditions with capillary fragility and rarely in HIV retinopathy.